Atrial fibrillation is seen in all except:
1. Constrictive pericarditis
2. Atrial septal defect
3. Mitral stenosis
4. Ventricular septal defect

Correct answer: 4. Ventricular septal defect